Snowman Shaped Heart is typically seen in:
1. Tetralogy of Fallot
2. Total Anomalous Pulmonary Venous Connection
3. Transposition of Great Vessels
4. Coarctation of Aorta

Correct answer: 2. Total Anomalous Pulmonary Venous Connection

Explanation: Answer is B (Total Anomalous Pulmonary Venous Connection) Snowman Shaped Heart or Figure of '8' Heart has typically been described in association with Total Anomalous Pulmonary Venous Connection (TAPVC). Typical Shape Classical Cause Boot Shaped Heart Tetralogy of Fallot Snowman Shaped Heart (Figure of 8 Heart) Total Anomalous Pulmonary Venous Connection to the Innominate Vein Egg on Side Appearance Complete Transposition of great arteries Figure of '3' Sign Coarctation of Aorta